Simplest measure of dispersion-a)  Rangeb) Standard deviationc) Mean deviationd) Co-efficeint of range
1. a
2. ad
3. ac
4. ab

Correct answer: 1. a

Explanation: The range
o Range is the simplest measure of dispersion.
o It is defined as the difference between the largest and smallest values of the variable.
   Range (R) = Largest value (L) - Smallest value (S)